Most common complication of intertrochanteric fracture femur is:
1. Malunion
2. Non-union
3. Osteoarthritis
4. Nerve injury

Correct answer: 1. Malunion

Explanation: (a) Malunion- Most common complications of intracapsular fracture -AVN followed by non-union.- Most common complication of extracapsular fracture - Malunion.